Declaration of Sydney is related to
1. Time of death
2. Infliction of torture
3. Therapeutic abortion
4. Humanitarian goals of medicine

Correct answer: 1. Time of death

Explanation: Ans. is 'a' i.e., Time of death Declaration of Sydney* The advent of organ transplantation made this Declaration a guide to determining the time of death of the comatose donor. "Brain death" has displaced "cardiac death" as the essential criterion; and the diagnosis must be made before there is organ death.* The Declaration also states that "If transplantation of an organ is onvolved, the decision that death exists should be made by one or more physicians; and the physicians determining the moment of death should in no way be immediately concerned with the performance of the transplant."* This makes for objectivity. But it is incorrect to say that "death exists" or refer to "the moment of death". The patient is not dead until after life support has been withdrawn.YearDeclarationKey topicMost recently amended1948The Declaration of GenevaHumanitarian goals of medicine20061964The Declaration of HelsinkiHuman experimentation and clinical trials20091968The Declaration of SydneyDetermination of death and the recovery of organs20061970The Declaration of OsloTherapeutic abortion20061975The Declaration of TokyoTorture and other cruel and degrading treatment or punishment20061981The Declaration of LisbonRights of the patient20051983The Declaration of VeniceTerminal illness20061987Declaration on EuthanasiaEuthanasia 20051989The Declaration of Hong KongThe abuse of the elderly20051991The Declaration of MaltaHunger strikers20061997The Declaration of HamburgSupport for medical doctors who refuse to condone or participate in torture20071998The Declaration of OttawaChild health20092000The Declaration of EdinburghPrison conditions and the spread of TB and other communicable diseases20112002The Declaration of Washington Biological weapons20032002Declaration on Patient SafetyPatient safety--2008The Declaration of SeoulProfessional autonomy and clinical independence--2009The Declaration of DelhiHelath and climate change--2011The Declaration of MontevideoDisaster preparedness and medical response--2011Declaration of End-of-LifeMedical CareEndo-of-life care--